The parenteral administration of streptokinase
1. increases the formation of plasminogen
2. is less effective following a myocardial infarct than t-pA
3. causes a high incidence of thrombocytopenia
4. may cause bleeding reversible by aminocaproic acid

Correct answer: 4. may cause bleeding reversible by aminocaproic acid

Explanation: Streptokinase (SK) is thrombolytic (or fibrinolytic) because it activates plasminogen, resulting in the increased formation of plasmin. Its efficacy is equivalent to that of tissue plasminogen activator (t-PA), but SK is not clot-specific. All thrombolytics can cause bleeding, which may be counteracted to some extent by administration of antifibrinolysins, such as aminocaproic acid.